What passes through diaphragm at T12 level -
1. Esophagus
2. IVC
3. Thoracic duct
4. Phrenic nerve

Correct answer: 3. Thoracic duct

Explanation: Ans. is 'c' i.e., Thoracic duct OpeningVertebral levelIn which part of diaphragmPassing structureVena CavaiT8Central tendony Inferior vena cavay Right phrenic nerveOseophageaiT10Muscular portion derived from right crusy Oesophagusy Oesophageal br. of left gastric arteryy Gastric or vagus nerveAorticT12Osseoaponeurotic betweenright and lateral crusy Aortay Thoracic ducty Azygous vein